All are true of 'Positive health' in today's world except.
1. Dependent on social, economic and culture
2. Mirage because of changing environment
3. Body and mind at peace
4. Changing behavior with respect to change in future

Correct answer: 4. Changing behavior with respect to change in future

Explanation: Ans. (d) Changing behavior with respect to change in futureCONCEPT OF POSITIVE HEALTH* Perfect functioning of health and mind* Conceptualize health biologically, psychologically and socially* Depends on economic, social and cultural factors* Positive health remains a mirage due to constant change